Which of the following undergoes Hoffmann elimination?
1. Rocuronium
2. Vecuronium
3. Succinylcholine
4. Atracurium

Correct answer: 4. Atracurium

Explanation: Atracurium is a bis-benzyltetrahydroisoquinolinium with isoquinolinium nitrogens connected by a diester-containing hydrocarbon chain. The presence (in duplicate) of two-carbon separations between quaternary nitrogen and ester carbonyl provides the basis for a Hofmann elimination reaction. Furthermore, it can undergo ester hydrolysis. In a Hofmann elimination reaction, a quaternary ammonium group is converted to a tertiary amine by cleavage of a carbon-nitrogen bond. Ref: Miller's Anesthesia 7th Ed , Chapter 29.